Buerger’s Disease is
1. Also known as Thromboangitis Obliterans
2. Segmental inflammatory disease
3. Affects small and medium arteries in upper and lower extremities
4. All of the above

Correct answer: 4. All of the above

Explanation: BUERGER'S DISEASE (THROMBOANGITIS OBLITERANS)
→ Segmental inflammatory disease, affecting small and medium sized arteries in upper and lower extremities.
→ Inflammatory process involves neighboring veins and nerves.
→ Definite relationship with smoking.
Histopathology
→ Sharply segmental acute and chronic vasculitis of small and medium vessels with thrombosis of lumen, which may undergo organization and recanalization.
→ Thrombus contains microabsecess

Inflammatory process extends to involve neighboring veins and nerves.
With time, all three structures (artery, vein and nerve) become incased in fibrous tissue.

Clinical Features (RIM)
→ Characterized by triad of intermittent claudication, Raynaud's phenomenon and migratory superficial vein thrombophlebitis.

Typically seen in young (<40 years), male smokers.